Golfers elbow ?
1. Medial epicondylitis
2. Lateral epicondylitis
3. Posterior elbow dislocation
4. Lateral collateral ligament injury

Correct answer: 1. Medial epicondylitis

Explanation: Ans. is 'a' i.e., Medial epicondylitis Golfer's elbow (Medial epicondylitis) It is about three times less common than tennis elbow. Patient has pain and tenderness on the medial epicondyle of the elbow. The bony attachment of flexor pronator origin is affected. Often there is an associated ulnar nerve neuropathy. A medial collateral ligament injury should be excluded.